Not given in adolescent:
1. MMR vaccine
2. Tetanus vaccine
3. Rotavirus vaccine
4. HPV vaccine

Correct answer: 3. Rotavirus vaccine

Explanation: c. Rotavirus vaccine(Ref: Nelson's 20/e p 1618)High Yield Points:The maximum age for the first dose of Rotavirus vaccine is 14 weeks, 6 days, & final dose is 8 monthsVaccination should not be initiated for infants aged 15 weeks or older